A nondiabetic nonhypertensive patient has some extra beast in pulse. Doctor informed it is benign. But patient is still going for investigations from doctor to doctor. This is a type of:-
1. Conversion disorder
2. Hypochondriac disorder
3. Somatoform pain
4. Depression

Correct answer: 2. Hypochondriac disorder

Explanation: Hypochondriasis. Hypochondriasis is defined as a persistent preoccupation with a fear (or belief) of having one (or more) serious disease(s), based on person's own interpretation of normal body function or a minor physical abnormality. The other important features of hypochondriasis are: 1. Complete physical examination and investigations do not show presence of any significant abnormality. 2. The fear or belief persists despite assurance to the contrary by showing normal reports to the patient. 3. The fear or belief is not a delusion but is instead an example of an overvalued idea. The patient may agree regarding the possibility of his exaggerating the graveness of situation, at that time. 4. A preoccupation with medical terms and syndromes is quite common. The patient tends to change the physician frequently, in order to get investigated again Conversion Disorder Conversion disorder is characterized by the following clinical features: 1. Presence of symptoms or deficits affecting motor or sensory function, suggesting a medical or neurological disorder. 2. Sudden onset. 3. Development of symptoms usually in the presence of a significant psychosocial stressor(s). 4. A clear temporal relationship between stressor and development or exacerbation of symptoms. 5. Patient does not intentionally produce the symptoms Somatoform Pain It was previously called as psychogenic pain disorder. In this disorder, persistent, severe and distressing pain is the main feature which is, either grossly in excess of what is expected from the physical findings, or inconsistent with the anatomical distribution of nervous system. Preoccupation with pain is common